In Buphthalmos, seen are all except:
1. Subluxated lens
2. Large cornea
3. Small cornea
4. Big eye ball

Correct answer: 3. Small cornea

Explanation: C i.e. Small cornea